The vasodilatation produced by carbon dioxide is maximum in one of the following
1. Kidney
2. Brain
3. Liver
4. Heart

Correct answer: 2. Brain

Explanation: The vasodilation produced by carbon dioxide is maximum in the brain Ref: guyton and hall textbook of medical physiology 12 edition page number:360,361,362